Postmortem caloricity is seen in:
1. Strychnine poisoning
2. Organophosphorus poisoning
3. Dhatura poisoning
4. Ergot poisoning

Correct answer: 1. Strychnine poisoning

Explanation: (Post Mortem Caloricity- Normally temperature falls after death but temp increases (upto 1.5 to 2degC) due to exercise, struggle prior to death. It is seen when- (1) Heat regulation center damaged, due to Sunstroke, some nervous disorders. (2) Increased heat production in muscles, due to convulsions as in tetanus, strychnine poisoning. (3) Excessive bacterial activity, due to septicaemia, cholera.) (Lower temperature than Normal after death- Collapse, CCF. During sleep rate of fall of temperature 0.5 -- 1degC.)